Calculus is most common in which salivary gland?
1. Submandibular
2. Sublingal
3. Parotid
4. Minor salivary glands

Correct answer: 1. Submandibular

Explanation: Ans. is 'a' i.e., Submandibular Salivary calculio Calculi may form in the ducts of the submandibular or parotid glands.o They are formed by the deposition of calcium phosphate on the organic matrix of mucin or cellular debris,o About 90% of the stones are seen in the submandibular and 10% in the parotid glands,o Stones my form in the duct or parenchyma of the gland.